SI unit of brightness of a point light source is?
1. Candela
2. Lumen
3. Lux
4. Lambert

Correct answer: 1. Candela